Best investigation to diagnose piles is -
1. Proctosigmoidoscopy
2. Barium enema
3. Ultrasound
4. Proctoscopy

Correct answer: 4. Proctoscopy